In a case of Paucibacillary leprosy, treatment is considered adequate if the patient has received the six monthly doses of combined therapy within:-
1. 6 months
2. 9 months
3. 12 months
4. 15 months

Correct answer: 2. 9 months

Explanation: Adequate treatment: Patients has received 6 months of PBL therapy in 9 months or 12 months of MBL therapy within 18 months Multi drug therapy (MDT) of Leprosy: Paucibacillary Leprosy (PBL) Multibacillary Leprosy (MBL) No. of skin lesions <= 5 >= 5 Nerve involvement 0-1 nerve >= 1 nerve Treatment Day 1: Supervised monthly Rifampicin 600 mg Clofazimine 300 mg Dapsone 100 mg Day 1: Supervised monthly Rifampicin 600 mg Clofazimine 300 mg Dapsone 100 mg Day 2-28: Daily Dapsone 100 mg Clofazimine 50 mg Day 2-28; Daily Clofazimine 50 mg Dapsone 100 mg Duration of treatment 6 months 12 months Duration of follow up 2 years 5 years